Drugs highly bound to albumin
1. NSAID'S
2. Lidocaine
3. Beta blockers
4. Verapamil

Correct answer: 1. NSAID'S